Most common glycogen storage disease presenting with hypoglycemia and normal glycogen structure -
1. Von Gierke disease
2. Pompe's disease
3. Me Ardle's disease
4. Forbe's disease

Correct answer: 1. Von Gierke disease

Explanation: Ans. is 'a' i.e., Von Gierke disease Liver glycogenoses |Hypoglycemia| | |HepatomegalyCirrhosis|||| |RenomegalyHypoglycemia unresponsive to glucagon/epinephrineNo renomegaly Hypoglycemia corrected by glucagon/epinephrineType IV(Anderson) (Abnormal glycogen structure)||| | | Von Gierke's disease (Type I) (Normal glycogen structure)Abnormal glycogen structure Normalglycogen structure | | Type III (Cori/Forbe/limit dextrinosis)Type VI (Hers)